The following statements regarding finasteride are true except
1. It is used in the medical treatment of benign Prostatic hypertrophy (BPH)
2. Impotence is well documented after its use
3. It blocks the conversion of dihydrotestosterone to testosterone
4. It is a 5 -alpha reductase inhibitor

Correct answer: 3. It blocks the conversion of dihydrotestosterone to testosterone

Explanation: .Finasteride, is used for the treatment of benign prostatic hyperplasia male pattern baldness. It is a 5a-reductase inhibitor; 5a-reductase, an enzyme, converts testosterone to dihydrotestosterone (DHT) (option 3 its give otherway round) Adverse affects include increased risk for impotence, erectile dysfunction, decreased libido, and ejaculation disorder for the first year of treatment.